Which of the following radioactive isotopes is not used for brachytherapy?
1. Iodine-125
2. Iodine-131
3. Cobalt-60
4. Iridium-192

Correct answer: 2. Iodine-131

Explanation: Ans. Iodine-131